Radiographically the level of normal interproximal alveolar crest corresponds to
1. Epithelial attachment
2. CEJ of adjacent teeth
3. DEJ
4. Gingival margin

Correct answer: 2. CEJ of adjacent teeth